The most important drug in the psychosis is
1. Thiopentone
2. Thioridazine
3. Theophylline
4. Thiocolchiside

Correct answer: 2. Thioridazine

Explanation: Thioridazine is a typical antipsychotic drug.used in schizophrenia,acute psychosis Ref: Katzung 13th ed. Pg 493.